At equilibrium the concentrations of Cl- inside and outside a cell are 8 mmol/L and 120 mmol/L, respectively. The equilibrium potential for Cl- at 37oC is calculated to be
1. +4.07 mV
2. -4.07 mV
3. +71.7 mV
4. -71.7 mV

Correct answer: 4. -71.7 mV

Explanation: Nernst equation Ei - Eo = 61/-1 x log10 120/8 = -61 x 1.176 = -71.7 mV inside the cell. Note that for Cl-, the value for z (valence) is -1